All are side effects of clozapine expect:
1. Granulocytopenia
2. Seizures
3. Sedation
4. Extrapyramidal side effects

Correct answer: 4. Extrapyramidal side effects

Explanation: Ref: KDT 8th ed Clozapine is an atypical antipsychotic drug. It does not block D2 receptors, therefore chances of extrapyramidal symptoms are least with this drug.